A 35-year-old man is admitted to the hospital with pain on swallowing. Imaging reveals a dilated left atrium. Which structure is most likely being compressed by the expansion of the left atrium to result in the patient's symptoms?
1. Esophagus
2. Root of the lung
3. Trachea
4. Superior vena cava

Correct answer: 1. Esophagus

Explanation: The patient's chief complaint is pain upon swallowing. With a dilated left atrium, the most probable structure being compressed is the esophagus. The esophagus descends into the abdomen immediately posterior to the left atrium below the level of the tracheal carina. The root of the lung is the site of junction at the hilum where the pulmonary arteries, veins, and bronchi enter or leave. The lung root is not so intimately associated with the esophagus and would not be associated with pain during swallowing. The trachea ends and bifurcates above the level of the left atrium and therefore would be unaffected by a dilated left atrium. The inferior vena cava ascends from the abdomen to the right atrium and the superior vena cava is quite anterior in position. Neither of these veins is closely related to the esophagus or the left atrium.